Which of the following is not true regarding ETC?
1. Occurs in mitochondria
2. Generates ATP
3. No role of inorganic phosphate
4. Involves transport of reducing equivalent

Correct answer: 3. No role of inorganic phosphate

Explanation: Ans. is 'c' i.e., No role of inorganic phosphate